Normal volume of adult testis-
1. 5-10ml
2. 10-15ml
3. 15-20 ml
4. 25-30 ml

Correct answer: 3. 15-20 ml

Explanation: Ans. is 'c' i.e., 15-20 ml "Normal adult testicular volume is 15-20 ml, calculated by the formula : length x width x depth x 0-52 = volume" - Grainger.